Macular involvement is common in
1. Toxoplasma
2. Malaria
3. CMV
4. Syphilis

Correct answer: 1. Toxoplasma

Explanation: Decreased visual acuity may occur as a result of macular involvement or severe vitreous inflammation. ... An active toxoplasmic retinochoroiditis is whitish and moderately exudative with ill-defined borders and involves the macula in a majority of patients. Ref khurana 6/e